In a child presenting with obstructive Jaundice all are elevated EXCEPT:
1. Gamma glutamyl transpeptidase
2. Alkaline phosphatase
3. Glutamate dehydrogenase
4. 5' Nucleotidase

Correct answer: 3. Glutamate dehydrogenase

Explanation: Elevations in serum Alkaline phosphatase, 5' nucleotidase, and g-glutamyl transpeptidase levels are sensitive indicators of obstruction or inflammation of the biliary tract.